Koenen tumor seen in -
1. Neurofibromatosis
2. Tuberous sclerosis
3. Struge weber syndrome
4. Tuberculosis

Correct answer: 2. Tuberous sclerosis

Explanation: Ans. is 'b' i.e., Tuberous sclerosis Feriuneual fibromas (Koenen's tumors):-Present in 20% of patients of tuberous sclerosis.Develop in adult life.o Small, pink, sausage-shaped growths arising from under the nail folds; may distort the nail plate.